The efferent limb of the corneal reflex Is -
1. Accessory nerve
2. Facial nerve
3. Glossopharyngeal nerve
4. Trigeminal nerve

Correct answer: 2. Facial nerve

Explanation: The corneal reflex, also known as the blink reflex, is an involuntary blinking of the eyelids elicited by stimulation of the cornea (such as by touching or by a foreign body) Corneal reflex-The reflex is mediated by: the nasociliary branch of the ophthalmic branch (V1) of the trigeminal nerve (CN V) sensing the stimulus on the cornea only (afferent fiber). the temporal and zygomatic branches of the facial nerve (CN VII) initiating the motor response (efferent fiber). The facial nerve (CN VII) provides the efferent limb of the corneal reflex (orbicularis oculi muscle) fig:- digramatic representaion of corneal reflex pathway